Denominator in specificity ?
1. True positive
2. True negative
3. True positive plus false negative
4. True negative plus false positive

Correct answer: 4. True negative plus false positive

Explanation: Ans. is 'd' i.e., True negative plus false positive